In a child who has been raped hymen
1. Will be intact because it is elastic
2. Will be intact because it is deep situated
3. Will be perforated because very thin
4. Will be perforated because superficial situated.

Correct answer: 2. Will be intact because it is deep situated

Explanation: In child, the hymen is usually intact as it is situated deep and underdeveloped.Rape on Children* In young children there are few or no signs of general violence, for the child usually has no idea of what is happening.* The hymen is deeply situated, and as the vagina is very small, it is impossible for the penetration of the adult organ to take place.* As such, the hymen is usually intact and there may be little redness and tenderness of the labia.